Regarding rugoscopy, all are true except?
1. Palatal rugae are used as a method of identification
2. Palatoprints do not change during growth
3. Primary rugae are less than 3mm
4. Secondary rugae are 3-5mm

Correct answer: 3. Primary rugae are less than 3mm

Explanation: View of the hard palate showing palatal rugae. Torus palatinus,a bony protrusion on the palate is also visible. Primary rugae are 5-10mm or more. Secondary rugae are 3-5mm. Fragmented rugae are less than 3mm. Palatal rugae are unique to each person. Harrison Allen, in 1889, suggested the use of palatal rugae for identity verification.